Virchow's triad includes all of the following, except
1. Endothelial injury
2. Hypercoagulability
3. Venous stasis
4. Venous thrombosis

Correct answer: 4. Venous thrombosis

Explanation: Virchow's triad refers to three primary influences that predispose to thrombus formation. Endothelial injury (or vascular injury) Stasis or turbulence of blood flow Blood hypercoagulability Virchow's triad should be the cornerstone for assessment of risk factors for deep venous thrombosis. Stasis can occur with venous insufficiency, severe heart failure, or prolonged bed rest or immobility of an extremity following coma, pelvic or limb fracture, paralysis, extended aeroplane travel, or a lengthy operation. Endothelial injury can result from direct trauma (severed vein, venous cannulation, or transvenous pacing) or local irritation secondary to the infusion of chemotherapy, previous DVT, or phlebitis.